Posterior epistaxis is commonly seen in:
1. Children with ethmoidal polyps
2. Foreign bodies of the nose
3. Hypertension
4. Nose picking

Correct answer: 3. Hypertension

Explanation: M/c cause of epistaxis in adults is hypertension M/c site - Woodruff area Causes posterior epistaxis